Permethrin is used in the topical treatment of:
1. Scabies
2. Tinea
3. Acne
4. Psoriasis

Correct answer: 1. Scabies

Explanation: Ans: a (Scabies) Ref: Harrison, 16th ed, p. 2601; 17th ed, p. 2798Drugs used in the treatment of scabies5% permethrin cream1 % lindaneTopical crotamiton creamBenzyl benzoateSulphur ointmentsIvermectin.Ivermectin is used in a condition called crusted scabies or Norwegian scabies.5% permethrin cream is less toxic when compared to 1 % lindane preparation.Lindane is contraindicated in pregnant women and infants because, it is absorbed through skin and it's overuse has led to seizures and aplastic anaemia.ScabiesCaused by mite- sarcoptes scabeiClinical features include-itching, vesicles over anterior wrist, interdigital webs.Palms, soles, and scrotum may be involved in infants (nodular scabies)Burrows are pathognomonic.